Active principle of oleander plant is:
1. Cannabinol
2. Atropine
3. Semicarpol
4. Nerin

Correct answer: 4. Nerin

Explanation: Ans. Nerin